Curie is unit of:
1. Radiation exposure
2. Radiation absorption
3. Radioactivity
4. All of the above

Correct answer: 3. Radioactivity

Explanation: C i.e. Radioactivity